When the concentration of the etchant is more than 50%, it forms a complex which prevents further dissolution. The complex is
1. hydroxyapatite
2. calcium phosphate
3. monocalcium phosphate monohydrate
4. none of the above

Correct answer: 3. monocalcium phosphate monohydrate